Risk factor for Squamous cell tumor of urinary bladder
1. Schistosomiasis
2. Bladder diverticulum
3. Chronic cystitis
4. All of the above

Correct answer: 4. All of the above

Explanation: Schistosomiasis and chronic cystitis are risk factors for SCC Bladder.